Causes of female pseudohermaphrodism ?
1. 17-alpha hydroxylase deficiency
2. 21-alpha hydroxylase deficiency
3. Mixed gonadal dysgenesis
4. All of the above

Correct answer: 2. 21-alpha hydroxylase deficiency

Explanation: Ans. is 'b' i.e., 21-alpha hydroxylase deficiency Ambiguous genitalia (Hermaphroditism) Ambiguous genitalia are defined as discrepancy between the external genitals and internal gonads. o They can be categorized : ? Female pseudohermaphroditism Male pseudohermaphroditism True hermaphroditism Female pseudohermaphroditism. Gentotype is XX Gonads are ovaries External genitalia are virilized (male differentiation). As there is no mullarian inhibiting factor, mullarian duct develops into uterus tubes and ovary. But due to presence of androgen external genitalia are virilized. Causes are: i) Maternal virilizing tumor -9 Arrhenoblastoma ii) 21 hydroxylase deficiency } Congenital adrenal hyperplasia iii) 11 beta hydroxylase deficiency iv) Maternal medications with androgen.